Dietary fibre contain
1. Collagen
2. Pectin
3. Proteoglycans
4. Starch

Correct answer: 2. Pectin

Explanation: Dietary fibre contains remnants of plant cells resistant to hydrolysis by the enzymes of alimentary canal. Fibre is basically composed of 2 categories : 1. Water insoluble components. 2 . Warer soluble components. 1. Water insoluble : Cellulose, Hemicellulose, Lignin 2. Water soluble : Pectins, Mucilagesn, Gums.